Route of DPT vaccine is -
1. Oral
2. Subcutaneous
3. Intramuscular
4. Intravenous

Correct answer: 3. Intramuscular

Explanation: Ans. is 'c' i.e., Intramuscular DPT Vaccineo DPwT : Popularly known as triple antigen, DTwP is composed of tetanus and diphtheria toxoids as well as killed whole cell pertussis bacilli adsorbed on insoluble aluminium salts which act as adjuvants. The content of diphtheria toxoid varies from 20 to 30 Lf and that of tetanus toxoid varies from 5 to 25 Lf per dose. Whole-cell pertussis vaccine is a suspension of killed B pertussis organisms.o DPaT : It is the same diphtheria and tetanus toxoid along with acellular pertussis vaccine. The high rates of side effects to these Pw vaccines directed scientists to develop a second type of vaccine, called the acellular pertussis (Pa) vaccine, composed of inactivated bacterial proteinso Dose is 0[?]5ml intramuscularly. It should be stored at 2-8 degree Celsius